The common HLA type associated with Behcet disease is _________
1. HLA DR4
2. HLA B27
3. HLA B51
4. HLA CW6

Correct answer: 3. HLA B51

Explanation: Behcet disease is associated with HLA haplotype B51 in particular. Behcet disease is a neutrophilic vasculitis affecting small to medium-sized vessels that classically presents as a clinical triad of recurrent oral aphthous ulcers, genital ulcers, and uveitis. Here (Th17) T helper 17 cells play an important contribution in recruitement of neutrophils, which will later infiltrate into the vessel wall. There can also be gastrointestinal and pulmonary manifestations, with disease mortality related to severe neurologic involvement or rupture of vascular aneurysms. Reference : nelson textbook of pediatrics 21st edition Pgno: 1289